In a village with population of 5000, 50 people have a disease and 10 of them died. What is case fatality rate?
1. 1%
2. 2%
3. 0.50%
4. 20%

Correct answer: 4. 20%

Explanation: .case fatality rate is the total number of deaths due to a particular disease divided by total number of cases due to the same disease ,total multiplied by 100.it represents the killing power of a disease.it is simply the ratio of deaths to cases.the time interval is not specified. here it is 10 by 50 multiplied by 100 equals 20 ref:park's textbook of preventive and social medicine,22nd edition,pg no 55